Which of the following is NOT an adverse effect of salbutamol?
1. Tachycardia
2. Tolerance
3. Hypokalemia
4. Hypoglycemia

Correct answer: 4. Hypoglycemia

Explanation: β2 agonists like salbutamol and terbutaline can cause several adverse effects like:

Tachycardia due to stimulation of chronotropic β2, receptors and at high dose due to stimulation of β1 receptors also.
Tremors may result due to stimulation of muscle spindles.
Tolerance may develop due to desensitization of receptors.
Transient hyperkalemia followed by prolonged hypokalemia is seen on continued use.
Hyperglycemia may develop due to the release of glucagon and stimulation of glycogenolysis and gluconeogenesis.